Shearing damage is seen in:
1. Heart
2. Liver
3. Brain
4. Spinal cord

Correct answer: 3. Brain

Explanation: Ans. Brain